Cytokine that have pyrogenic activity is:
1. IL-6
2. IL-8
3. TGF beta
4. IL-3

Correct answer: 1. IL-6

Explanation: Ref. Robbins Pathology. 9th edition. Page. 99
 
Easy and a straight forward question.
Most important interleukins are listed below